Vomar-sphenoidal rostrum junction is?
1. Syndesmsis
2. Synostosis
3. Schindylesis
4. Gomphoiss

Correct answer: 3. Schindylesis

Explanation: C i.e. Schindylesis